All except one is true regarding progestin only contraceptives
1. Also called mini pills
2. Have minimal effect on carbohydrates metabolism
3. Pill is taken on alternate days
4. High incidence of irregular bleeding

Correct answer: 3. Pill is taken on alternate days

Explanation: Pill is ideally taken daily at the same time.